The Electron Microscopy is virtually diagnostic in renal biopsy study of -
1. Goodpasture's syndrome
2. Churg-Strauss syndrome
3. Alport syndrome
4. Wegner's granulomatosis

Correct answer: 3. Alport syndrome

Explanation: Ans. is 'c' i.e., Alport syndromeo Alport's syndrome presents with characteristic histological features on electron microscopy. Such changes may present in other diseases, but are most pronounced and widespread in Alport's syndrome.Features of Alport's syndrome on electron microscopy :o Alport's patients early in their disease typically have diffuse thinning of the basement membrane which thickens over time into multilamellous surrounding lucent areas that often contain granules of varying density.o The characteristic electron electron microscopic finding of fully developed disease is that glomerular basement membrane shows irregular foci of thickening alternating with attenuation (thinning) with pronounced splitting and lamination of lamina densa often with distinctive basket weave appearance.